All of the following are tumor markers, except
1. CEA
2. HCG
3. Alpha-fetoprotein
4. Beta-2 macroglobulin

Correct answer: 4. Beta-2 macroglobulin

Explanation: Beta-2 microglobulin and not beta macroglobulin may be used as a tumor marker (as in multiple myeloma).